A 4 year child can perform one of the following –a) Can hop on single leg for 15 feetb) Can skip without falling to either sidec) Can stand one feet for 20 secondsd) Can walk down the stairs with alternating steps holding on the iron rail.
1. b
2. c
3. ad
4. ab

Correct answer: 3. ad

Explanation: A child can hop on one foot by 4 years.
A child can skip by the age of 5 years.
A child may stand on one leg for 10 seconds (not for 20 seconds) by 4-5 years --- CPDT 18th /e 76
A child can go down stairs with alternating feet by 4 years ---- Chedda 3rd/e 28